Compared with noble metals, base metals show
1. Increased hardness
2. Increased ductility
3. Better biocompatibility
4. Increased density

Correct answer: 1. Increased hardness